The commonest type of Porphyria is
1. Variegate porphyria
2. Porphyria cutanea tarda
3. Congenital erythropoietic porphyria
4. Acute intermittent porphyria

Correct answer: 2. Porphyria cutanea tarda